True regarding surface anatomy of internal jugularvein -
1. Line passing from ear lobule to mid pt of clavicle
2. Line passing from ear lobule to medial end of clavicle
3. Line joining ear lobule to lateral end of clavicle
4. Line joining mastoid process to mid pt of clavicle

Correct answer: 2. Line passing from ear lobule to medial end of clavicle

Explanation: Ans 'b' i.e., Line passing from ear lobule to medial end of clavicle SURFACE MARKINGS OF IMPORL4N VESSELS OF NECKSurface anatomy of internal jugular vein:o Internal jugular vein is marked by a line joining a point on the neck, medial to the ear lobule to a point at the medial end of the clavicle.Surface anatomy of the external jugular vein:o Marked by a line joining a point a little below and behind the angle of the mandible to a point on the clavicle just lateral to the posterior border of the stemocleidonastoid.Subclavian vein:o Marked by a line joining the medial end of the bone to its midpoint.Common carotid artery:o Marked by a line joining a point on the stemovlavicular joint to a point on the anterior border of the sternocleidomastoid at the level of upper border of the thyrroid cartilage.Internal carotid artery :o Marked by a line joining a point on the anterior border of the stemocleidommastoid at the level of upper border of thyroid cartilage to a point on the posterior border of the condyle of the mandible.External carotid artery:o Marked by a line joining a point on the anterior border of the stemocleidommastoid at the level of upper border of thyroid cartilage to a point on the posterior border of the neck of the mandible.